Indications for termination of pregnancy in hyperemesis gravidarum include all except :
1. Jaundice
2. Oliguria
3. Neurological complications
4. None

Correct answer: 4. None